True regarding endothelin-1 are all except:
1. Bronchodilatation
2. Vasoconstriction
3. Decreased GFR
4. Has inotropic effect

Correct answer: 1. Bronchodilatation

Explanation: Endothelin is a peptide that is released by damaged vascular endothelial cells of the kidneys, as well as by other tissues. It causes bronchoconstriction and not bronchodilatation. Biologic effects of endothelins: Hemodynamic effects: Contracts vascular smooth muscle; veins more sensitive than arteries. Cardiac effects: Positive inotropic and chronotropic effects on myocardium Intense vasoconstriction of coronary arteries Neuroendocrine effects: Increased plasma levels of ANP, renin, aldosterone, and catecholamines Modulates synaptic transmission Renal effects: Increases renal vascular resistance Decreases GFR, renal blood flow Increases Na+ reabsorption through hemodynamic actions, but decreases Na+ reabsroption through inhibition of Na+-K+ pump.